All are true about Prolactin agonist EXCEPT:
1. Associated with lactation
2. Stimulate milk production after child birth
3. Dopamine stimulate prolactin production
4. Dopamine inhibit prolactin production

Correct answer: 3. Dopamine stimulate prolactin production

Explanation: Ans. (c) Dopamine stimulate prolactin productionRef. KDT 6th ed. / 235-236* Prolactin is produced from anterior pituitary and is associated with lactation.* Prolactin is under predominant inhibitory control of hypothalamus through PRIH (Prolactin Release Inhibitory Hormone), which is Dopamine that acts on pituitary lactotrope D2 receptor.* Dopaminergic agonist like bromocriptine, DA, cabergoline decrease plasma prolactin levels and is used to treat hyperprolactinemia* Dopaminergic antagonists like chlorpromazine haloperidol, metoclopramide causes hyperprolactinemia by blocking D2 receptors.* A progressive increase in prolactin occurs during pregnancy, peaking at term. After childbirth, this dopamine is inhibited and prolactin now stimulates milk production.Also Know* Milk production is stimulated by: Prolactin (remember production by prolactin).* Milk secretion is stimulated by: Oxytocin* DOC for hyperprolactinemia: Bromocriptine